Posterior 1/3rd part of tongue develops from:
1. 1st  branchial arch.
2. 2nd  branchial arch.
3. 3rd  branchial arch.
4. 4th  branchial arch.

Correct answer: 3. 3rd  branchial arch.